Which of the following condition is associated with high BP, metabolic alkalosis and hypokalemia?
1. Liddle’s syndrome
2. Gitelman syndrome
3. Barter syndrome
4. Fanconi’s syndrome

Correct answer: 1. Liddle’s syndrome

Explanation: Ref. Guyton. 13th edition. Page. 1105
Liddle Syndrome

Liddle’s syndrome is a genetic disorder resulting in a gain of function of ENaC channels in the Collecting Duct
This results in enhanced sodium reabsorption and potassium secretion.
Patients are hypertensive, hypokalemic, and alkalotic.